Vitamin K is ivolved in the posttranslational modification?
1. Glutamate
2. Aspartate
3. Leucine
4. Lysine

Correct answer: 1. Glutamate